A 60 year old man is suspected of having endobronchial carcinoma: what should be the best investigation
1. CT guided FNAC
2. bronchoscopy and biopsy
3. Sputum cytology
4. X-ray chest

Correct answer: 2. bronchoscopy and biopsy

Explanation: Fibreoptic bronchoscopy and biopsy is the investigation of choice in patients suspected endobronchogenic carcinoma,as endobronchial lesions are not reliably visualised on CT Ref Harrison 19th edition pg 246,247,512